Diarrhea (loose stools) is a side effect of:
1. Omeprazole
2. Sucralfate
3. Metoclopramide
4. Misoprostol

Correct answer: 4. Misoprostol

Explanation: Misoprostol is a prostaglandin analogue which inhibits acid secretion. The primary indication is the prevention and treatment of NSAID associated gastrointestinal injury and blood loss. Major problems in the use of misoprostol are diarrhea, abdominal cramps, uterine bleeding, abortion and the need for multiple doses.